The larval form of Taenia is referred as -
1. Cysticercus
2. Cysticercoid
3. Echinococcus
4. Conerus

Correct answer: 1. Cysticercus

Explanation: Cysticercus is the larval stage of Taenia. It contains a muscular organ with bladder like sac. It is called as: T. solium - Cysticercus cellulosae: present in pig's muscle and also in man (muscle, eye and brain). Section through tissue infected with a bladderworm or cysticercus of Taenia solium: T.saginata - Cysticercus bovis: present in cattle's muscle, but not in man. Cysticercoid is the larva of Hymenolapis Nana. Coenurosis, also known as caenurosis, coenuriasis, gidorsturdy, is a parasitic infection that develops in the intermediate hosts of some tapeworm species (Taenia multiceps). `Echinococcus - cyst dis. caused by Echinococcus granulosus.